Coenzyme not required in formation of glutamate-
1. Thiamine pyrophosphate
2. Pyridoxial phosphate
3. Niacin
4. None of the above

Correct answer: 1. Thiamine pyrophosphate

Explanation: NAD+ is derived from nicotinic acid, a member of the vitamin B complex, used in the synthesis of GABA. During transamination reaction glutamate is formed. Pyridoxal Phosphate acts as a coenzyme. REF: Lippincott book of biochemistry 6th ed.